Which of the following type of corneal degeneration is associated with formation of drop like excrescences of hyaline material which project into the anterior chamber around the corneal periphery?
1. Vogt's limbal girdle
2. Hassall henle bodies
3. Lipoid keratopathy
4. Hyaline degeneration

Correct answer: 2. Hassall henle bodies

Explanation: Hassall henle bodies are drop like excrescences of hyaline material which project into the anterior chamber around the corneal periphery. They arise from the descemet's membrane. It is the most common senile change seen in the cornea. In pathological conditions when they become larger and invade the central area it is called cornea guttata. Vogt's limbal girdle appear as bilateral chalky white opacities in the interpalpebral area both nasally and temporally. This opacity is at the level of Bowman's membrane. Ref: Ophthalmology By A. K. Khurana page 136.